Cardinal event of acute inflammation
1. Vasoconstriction
2. Stasis of Circulation
3. Vasodilatation and| vascular permeability
4. Margination of leukocytes

Correct answer: 3. Vasodilatation and| vascular permeability